Vidian Neurectomy is indicated in
1. Glossophayngeal neuralgia
2. Trigeminal neuralgia
3. Vasomotor rhinits
4. Atrophic rhinits

Correct answer: 3. Vasomotor rhinits

Explanation: Vasomotor rhinitis: increased parasympathetic discharge Vidian neurectomy is done. Ref : SRB's 4thE